Not used for intravascular volume maintainence is
1. Hydroxy ethyl starch
2. Dextran
3. Erythropoetin
4. Gelatin

Correct answer: 3. Erythropoetin

Explanation: Answer- C. ErythropoetinErytheropoetin InjectionsErythropoietins available for use as therapeutic agents are produced by recombinant DNA technology in cell culture, They are used in treating anemia resulting from chronic kidney disease, chemotherapy induced anemia in patients with cancer, inflammatory bowel disease (Crohn's disease and ulcerative colitis).